Avascular necrosis seen in -a) # Surgical neck of humerusb) # Neck of scapulac) # Neck of talusd) # Neck of femure) # Neck of radius
1. ab
2. cd
3. bd
4. ac

Correct answer: 2. cd

Explanation: Amongst the given options only talus fracture (neck talus fracture) causes AVN.